All adverse effects of theophylline are mediated by A1, receptor except:
1. Cardiac arrhythmias
2. Dieresis
3. Seizures
4. GI discomfort

Correct answer: 4. GI discomfort

Explanation: Theophylline exerts it's bronchodilation effect by PDE inhibition effect and Adenosine A1 antagonism. It has multiple side effect : Nausea and vomiting PDE inhibition Headache PDE inhibition Gastric discomfort PDE inhibition Diuresis Adenosine A1 antagonism Arrythmias PDE inhibition, A 1 antagonism Seizures Adenosine A1 antagonism